Drugs that reduce myocardial remodeling in CHF include all of the following except:
1. Carvedilol
2. Digoxin
3. Enalapril
4. Spironolactone

Correct answer: 2. Digoxin

Explanation: Drugs that decrease cardiac remodeling:1.) b blockers - Carvedilol, Metoprolol, Bisoprolol2.) ACEI - Captopril, Enalapril, Ramipril, Lisinopril.3.) Angiotensin Receptor blockers - Losartan, Valsartan, Irbesartan, Eprosartan4.) Aldosterone antagonists - Spironolactone, Eplerenone.